A knitted Dacron artery graft
1. Is not porous
2. Is eventually dissolved by tissue reaction
3. Never gets infected
4. Can be easily incised and the opening resutured

Correct answer: 4. Can be easily incised and the opening resutured

Explanation: Ans. is 'd' i.e., Can be easily incised and the opening resutured